All are true about obsession, except:
1. Recurrent foolish thoughts
2. Associated with dim light
3. Attempts to resist intrusive ideas
4. Associated depression

Correct answer: 2. Associated with dim light

Explanation: Ans. Associated with dim light